Necrotic nodules in lung are seen in-
1. TB
2. Sarcoidosis
3. RA
4. All of the above

Correct answer: 4. All of the above

Explanation: Necrotic nodules in lung are seen in Infective causes: TB, histoplasmosis, syphilis, coccidiomycosis, Cat's scratch disease Non- Infective causes: Wegner's granulomatosis, Sarcoidosis, hyalinizing granuloma, idiopathic bronchocentric granulomatosis, RA Non-Necrotic lesion/ Non cavitating lesion: Pulmonary Hamartoma: Popcorn Calcifications